Which of the following has the highest protein content per 100 gm ?
1. Egg
2. Groundnut
3. Soyabean
4. Meat

Correct answer: 3. Soyabean

Explanation: Ans. is 'c' i.e., Soyabean